Temporomandibular joint is a :
1. Plant joint
2. Synovial joint
3. Ball and socket joint
4. Saddle shaped joint

Correct answer: 2. Synovial joint

Explanation: The articulations between the temporal bone (mandibular fossa) and the mandibular condyle form a synovial joint, known as the temporomandibular joint (TMJ).A unique feature of the TMJ is the fibrocartilaginous articular disc, located within the joint capsule between the mandibular fossa and condyle. Ref: Morton D.A., Foreman K.B., Albertine K.H. (2011). Chapter 21. Infratemporal Fossa. In D.A. Morton, K.B. Foreman, K.H. Albertine (Eds), The Big Picture: